Spastic ileus is seen in
1. Porphyria
2. Retroperitoneal abscess
3. Hypokalemia
4. MI

Correct answer: 1. Porphyria

Explanation: Answer is 'a' i.e. Porphyria Spastic, or dynamic ileus is rare and results from extreme and prolonged contraction of the intestine. It is seen in - heavy metal poisoning - porphyria - uremia - extensive intestinal ulceration.